Which of the following carries fast pain:
1. A-alfa
2. A-delta
3. B
4. C

Correct answer: 2. A-delta

Explanation: A-delta fibers are associated with fast pain They are myelinated Ref:Guyton and Hall textbook of medical physiology 12th edition,page number:73